A 45-year-old man has a fall from his motorcycle and is complaining of shoulder pain. Radiographs are negative for fracture and dislocation. On examination, you noticed positive lift-off test. What is the most likely diagnosis
1. Subscapularis tear
2. Supraspinatus tear
3. Infraspinatus tear
4. Teres minor tear

Correct answer: 1. Subscapularis tear

Explanation: A positive lift-off test is consistent with a subscapularis injury. In this maneu ver, the patient's arm is internally rotated, the elbow flexed to 90 degrees, and hand held posteriorly at the waist. If the patient experiences pain or weakness as he tries to move his arm away from his body against resistance, the test is positive.